Reason associated with the formation of pulp polyp:
1. Ample vascularity of the young pulp.
2. Adequate exposure for drainage.
3. Tissue proliferation.
4. All of the above.

Correct answer: 4. All of the above.

Explanation: Hyper pulpitis
Hyperplastic pulpitis (pulp polyp) is a form of irreversible pulpitis that originates from overgrowth of a chronically inflamed young pulp onto the occlusal surface. It is usually found in carious of young patients. Ample vascularity of the young pulp, adequate exposure for drainage, and tissue proliferation are associated with the formation of hyperplastic pulpitis